Libman sach's endocarditis is found in
1. Rheumatoid arthritis
2. SLE
3. Syphilis
4. Systemic sclerosis

Correct answer: 2. SLE

Explanation: (SLE) (598-R) (408-Basic pathology 8th)In SLE, mitral and tricuspid valvulitis with small sterile vegetatons called Libman-Sachs endocarditis is occasionally encounteredDistinguishing features of vegetations in major forms of EndocarditisFeaturesRheumaticLibman-sachsNon - bacterial thrombotic (merantic)Bacterial1. Valves commonly affectedMitral aloneMitral and aortic combinedMitral, tricuspidMainly bacterial less often aortic and tricuspidMitral, aortic combined mitral and aortic2. Location on valve cusps or leaflets* Occurs along the line of closure, atrial surface of AV valves and ventricularOccurs in both surface of valve leaflets or cusps in the valve pocketsOccurs along the line of closureSABE more often on diseased valve ABE on previously normal surface of semilunar valves valves, location same as in RHD3. MicroscopySmall, multiple, warty, grey brown, translucent firmly attached sterile, generally permanent valvular deformityMedium sized, multiple, generally do not produce significant valvular deformitySmaller but longer than those rheumatic single or multiple brownish firm but more friable than those of rheumaticOften large, grey tawny to greenish, irregular, single or multiple typically friable4. Common causeRheumatic feverSLE* Debilated patients cancer or sepsis* Hyper coagulable states* Promyelocytic leukemia* T estrogen state* BumsInfective endocarditis